A common cause of Cushing syndrome is -
1. Cancer producing ectopic ACTH
2. Pituitary adenoma
3. Adrenal tuberculosis
4. None of the above

Correct answer: 2. Pituitary adenoma

Explanation: 75% cases of Cushing's syndrome is caused by ACTH-producing pituitary adenomas (Cushing's disease); Ectopic ACTH syndrome - 15%; adrenocortical adenomas-5 to 10% and adrenocortical carcinoma-1% and other rare causes-<1%. Reference : page 2314 Harrison's Principles of Internal Medicine 19th edition